There was a sudden increases in the size of thyroid swelling along with pain. Most likely cause is -
1. Hemorrhage within the cyst (Thyroid)
2. Malignant change
3. Nodular goiter
4. Colloid goiter

Correct answer: 1. Hemorrhage within the cyst (Thyroid)